Mutation of which of the following gene is most important in Paroxysmal Nocturnal Hemoglobinuria
1. Decay accelerating factor (DAF)
2. Membrane inhibitor of reactive lysis (MIRL)
3. Glycosyl phosphatidyl inositol (GPI)
4. CD8 binding protein

Correct answer: 3. Glycosyl phosphatidyl inositol (GPI)